Erythropoietin is secreted from
1. Juxtraglomerular cells
2. Macula densa
3. Intersititial cells
4. Glomerulus

Correct answer: 3. Intersititial cells

Explanation: In adults, about 85% of the erythropoietin comes from the kidneys and 15% from the liver. Both these organs contain the mRNA for erythropoietin. Erythropoietin can also be extracted from the spleen and salivary glands, but these tissues do not contain the mRNA and consequently do not appear to manufacture the hormone. When renal mass is reduced in adults by renal disease or nephrectomy, the liver cannot compensate and anemia develops. Erythropoietin is produced by interstitial cells in the peritubular capillary bed of the kidneys and by perivenous hepatocytes in the liver. It is also produced in the brain, where it exerts a protective effect against excitotoxic damage triggered by hypoxia; and in the uterus and oviducts, where it is induced by estrogen and appears to mediate estrogen-dependent angiogenesis. Ref: Ganong's review of medical physiology,23rd edition, page: 677